Leprosy bacillus is cultured by using:-
1. Bordet Gengou medium
2. LJ medium
3. Loeffler's serum slope
4. None of the above

Correct answer: 4. None of the above

Explanation: Leprosy: Oldest disease known. Caused by Mycobacterium leprae. Mode of transmission: Air droplets, skin contact, transplacental, breast feeding, insect bite, tattoo, corneal/organ transplantation. Mycobacterium leprae has no artificial culture media. Leprae bacilli are cultured by: Foot pad of mice. 9-banded armadillo. Other options: Bordet gengou medium: Bordetella Pertussis. LJ medium: Mycobacterium Tuberculosis. Loeffler's serum slope: Corynebacterium Diphtheria.